Fastest method for diagnosis of TB -
1. Gene expert
2. LJ medium
3. TB MGIT
4. BAC, IEC

Correct answer: 1. Gene expert

Explanation: Ans. is 'a' i.e., Gene expert GeneXpert MTB/RIF The Xpert MTB/RIF detects DNA sequences specific for Mycobacterium tuberculosis and rifampicin resistance by polymerase chain reaction. It is based on the Cepheid GeneXpert system, a platform for rapid and simple-to-use nucleic acid amplification tests (NAAT). The Xpert MTB/RIF purifies and concentrates Mycobacterium tuberculosis bacilli from sputum samples, isolates genomic material form the captured bacteria by sonication and subsequently amplifies the genomic DNA by PCR. The process identifies all the clinically relevant rifampicin resistance inducing mutations in the RNA polymerase beta (rpoB) gene in the mycobacterium tuberculosis genome in a real time format using fluorescent probes called molecular beacons. Results are obtained from unprocessed sputum samples in 90 minutes, with minimal biohazard and very little technical training required to operate.